Patient presents with complaints of lower abdominal pain, fever and repeated stools with little faecal matter and blood and mucus. On microscopy paucity of WBCs in stool with positive test for heme. Which is the likely organism?
1. Giardia
2. Entamoeba
3. Staphylococcus
4. Clostridium perfringens

Correct answer: 2. Entamoeba

Explanation: Amoebic dysentery: Entamoeba histolytica Rx- Metronidazole Giardia: No heme so,ruled out Staphylococcus: - Toxin: causes vomiting, so ruled out Clostridium perfringes: Watery diarrhoea, so ruled out